Macular degeneration is caused by:
1. Chronic alcoholism
2. Smoking
3. Diabetes mellitus
4. Eales disease

Correct answer: 2. Smoking

Explanation: b smoking refkhurana 3rd/e p. 282